Pringle maneuver to arrest hemorrhage is:
1. Clamping of portal vein
2. Clamping of hepatic artery
3. Clamping of hepatic vein
4. Clamping of hepatoduodenal ligament

Correct answer: 4. Clamping of hepatoduodenal ligament

Explanation: Pringle maneuver is clamping of the hepatoduodenal ligament by traumatic clamp across the foramen of Winslow to temporarily stop complete vascular inflow to the liver. The hepatoduodenal ligament contains the hepatic artery, portal vein and the CBD.
Although the Pringle maneuver was initially described (by James Hogarth Pringle) for controlling bleeding due to traumatic liver injury, it is commonly used during elective hepatic resections.